The danger area of the face is so called because of the connection of the facial veins to the cavernous sinus through the
1. Transverse facial vein
2. Superior ophthalmic vein
3. Maxillary vein
4. Ethmoidal vein

Correct answer: 2. Superior ophthalmic vein

Explanation: Ref: Gray's 40e/p256